Cooley's anemia is also called
1. Mediterranean anemia
2. Beta-Thalassemia major
3. Erythroblastic anemia
4. All of the above

Correct answer: 4. All of the above